A 60-year-old man is brought to the emergency with generalized tonic-clonic seizure. There was no history of similar episodes in the past. There is no h/o any other medical illness. He is given lorazepam 2 mg which leads to cessation of seizure activity. Which of the following is the least likely cause of seizure in this patient?
1. Alcohol withdrawal
2. Hyperglycemia
3. Brain tumor
4. Genetic disorder

Correct answer: 4. Genetic disorder

Explanation: In individuals ->35 years age, the most likely causes of new-onset seizures include alcohol withdrawal, cerebrovascular disease, brain tumor, autoantibodies, Alzheimer disease or other neurodegenerative disease, and a range of metabolic disorders. These disorders can include either hyper/ hypoglycemia, uremia, hepatic failure, and electrolyte abnormalities or acid-base disorders. The genetic disorders typically present in childhood and rarely after the age of 18.